Oral manifestations of infectious mononucleosis is most commonly:
1. Bluish red spots opposite maxillary molar
2. Pseudomembrane on gingiva
3. Pinpoint petechiae on the palate
4. Gingival hyperplasia

Correct answer: 3. Pinpoint petechiae on the palate